Nails are involved in all except -
1. Psoriasis
2. Lichen planus
3. Tinea
4. DLE

Correct answer: 4. DLE

Explanation: question repeated